Best Investigation for diagnosing Minimal Right Pleural Effusion is
1. Right Lateral Decubitus Xiew X ray
2. CT scan
3. USG
4. Left Lateral Decubitus X ray

Correct answer: 3. USG

Explanation: *IOC for minimal Pleural Effusion is USG *Best X ray View for minimal Pleural Effusion is Ipsilateral Lateral Decubitus View.